Which of the following type of wart is treated by local application of podophyllin?
1. Plantar wart
2. Genital wart
3. Verruca Wart
4. All of the above

Correct answer: 2. Genital wart

Explanation: Treatment of anal condyloma depends on the location and extent of disease. Small warts on the perianal skin and distal anal canal may be treated by the topical application of bichloracetic acid or podophyllin. Imiquimod is an immunomodulator that recently was introduced for topical treatment of several viral infections, including anogenital condyloma. Ref: Bullard Dunn K.M., Rothenberger D.A. (2010). Chapter 29. Colon, Rectum, and Anus. In F.C. Brunicardi, D.K. Andersen, T.R. Billiar, D.L. Dunn, J.G. Hunter, J.B. Matthews, R.E. Pollock (Eds), Schwartz's Principles of Surgery, 9e.